Treatment of choice in complicated Plasmodium falciparum is
1. Chloroquine
2. Quinine
3. Artemether
4. Artesunate

Correct answer: 4. Artesunate

Explanation: (Artesunate) (1288-90-H17th)* Artesunate is the treatment of choice for severe falciparum malaria (1323-24-CMDT-09)Treatment of MalariaClinical settingDrug TherapyAlternative drugs* Chloroquine sensitiveP- falciparum andP. malaria infectionsChloroquine * Plasmodium vivax and P. ovale infectionsChloroquine then (If G6PD normal) primaquine-* Uncomplicated infections with chloroquine resistantP. falciparumQuinine sulfate plus Doxycycycline or Clinidamycin for 7 days orFansidar - three tablets onceMalarone or Mefloquine orAtcsunate or artermether orCortem* Severe or complicated infections with P. falciparumArtesunateQuinidine gluconate orArtemether* IV Artesunate, a water soluble artemisinin derivative has been shown to reduce mortality rates in severe falciparum malaria by 35% from rates obtained with quinine. Artesunate has therefore become the drug of choice